Treatment of human brucellosis include following EXCEPT-
1. Rifampicin
2. Azithromycin
3. Streptomycin/gentamicin
4. Doxycycline

Correct answer: 2. Azithromycin

Explanation: Drugs used in the treatment of brucellosis include doxycycline 100mg twice daily or orally for 6 weeks plus gentamicin 5mg/kg iv once daily for 7 days or doxycycline 100mg twice daily plus rifampicin 600-900mg orally once daily for 6 weeks. Aminoglycosides show synergistic activity with tetracyclines against brucellosis. Reference Harrison20th edition 1079